Giant platekets are seen in all these conditions except
1. Bernard Soulier syndrome
2. Glanzmann thrombasthenia
3. May Heggalin anamoly
4. Gray platelet syndrome

Correct answer: 2. Glanzmann thrombasthenia

Explanation: Glanzmann thrombasthenia is associated with normal sized platelets. Rest are associated with giant platelets.